Dryopithecus pattern is the characteristic feature of:
1. Permanent mandibular 1st molar.
2. Permanent mandibular 3rd molar.
3. Permanent maxillary 2nd molar.
4. Permanent maxillary canine.

Correct answer: 1. Permanent mandibular 1st molar.

Explanation: In a mandibular first molar mesiolingual cusp joins the distobuccal cusp along the floor of the central fossa, this is known as dryopethicus pattern.